The most specific immunohistochemical marker to rule out invasive ductal carcinoma would be?
1. Ki-67
2. p 63
3. Desmin
4. HER 2 / neu

Correct answer: 2. p 63

Explanation: p63 is a marker for myoepithelial cells. When neoplastic cells are identified outside the myoepithelial layer around the ducts, the lesion is said to be invasive. So p63 is most specific marker.